Spermicidal jelly acts through:
1. Acrosomal enzyme
2. Cervical enzyme alteration
3. Glucose uptake inhibition by sperms
4. Disruption of cell membrane

Correct answer: 4. Disruption of cell membrane